Spinomuscular atrophy is seen in lesion of-
1. Anterior horn
2. Peripheral nerve
3. Neuromuscular junction
4. Any of the above

Correct answer: 1. Anterior horn